Which of the following is used to measure humidity?
1. Kata thermometer
2. Globe thermometer
3. Sling psychrometer
4. Anemometer

Correct answer: 3. Sling psychrometer

Explanation: Kata thermometer - measures cooling power of air Globe thermometer - measures radiant heat Sling Psychrometer - measures humidity Anemometer - measures air velocity Ref: Park, 21st Edition, Pages 688 to 691.